Common age for otosclerosis is:
1. 5-10 years
2. 10-20 years
3. 20-30 years
4. 30-45 years

Correct answer: 3. 20-30 years

Explanation: 50% of patients of otosclerosis have positive family history.Females are more commonly affected than males. Whites are affected more than negroes.Age = most common between 20-30 years and is rare before 10 and after 40 years.Deafness is increased by pregnancy, menopause, trauma and major operations.Viruses like measles virus have also been associated with it.